Loading dose of leflunomide in rheumatoid arthritis is :
1. 20 mg
2. 10 mg
3. 100 mg
4. 400 mg

Correct answer: 3. 100 mg